Chain of lakes appearance is seen in:
1. Carcinoma pancreas
2. Chronic pancreatitis
3. Acute pancreatitis
4. Pancreatic pseudo cyst

Correct answer: 2. Chronic pancreatitis

Explanation: Ans: b (Chronic pancreatitis) Ref: Sutton, 7th ed,p. 790Dilatation and beading of main pancreatic duct and calcification is pathognomonic of chronic pancreatitis.Typical ERCP appearance include:1. String of pearls2. Chain of lakes3. Rat tail appearanceSome important radiological appearancesSigmoid volvulus # Bird of prey sign -# Bird beak sign# Omega sign # Bent inner tube sign # Coffee bean sign Carman meniscal signCole signCoiled spring signSterlin sign, Fuscher s signChiladiti sign - malignant gastric ulcer- duodenal ulcer- intussusceptions- TB caecum- colon b/w liver and diaphragm